Conjugate fixation reflex is established by the age of:
1. 3 weeks
2. 6 weeks
3. 3 months
4. 6 months

Correct answer: 2. 6 weeks

Explanation: Ans. 6 weeks